The commonest cranial nerve palsy in tabes dorasalis is:
1. III nerve
2. IV nerve
3. VI nerve
4. Total ophthalmoplegia

Correct answer: 1. III nerve

Explanation: Ans. III nerve